Mid-day meal programme provides
1. 1/3 calories, 1/3 proteins
2. 1/3 calories, 1/2 proteins
3. 1/2 calories, 1/3 proteins
4. 1/2 calories, 1/2 proteins

Correct answer: 2. 1/3 calories, 1/2 proteins

Explanation: Ans. (b) 1/3 calories, 1/2 proteinsRef : K. Park 23rd ed. / 661-62* Mid-day meal program is also known as National Program of Nutritional Support to primary education.* The main advantage of this program is to influence more children towards schools in order to improve the literacy.* This meal only act as a supplement and NOT as a substitute to home diet.* This meal should provide 1/3 of the total calories requirement and 1/2 of the total protein requirement.